A 30 year old female patient complains of weakness and fatigue. Patient gives history of consumption of antiepileptic drugs and is also a lactating mother. Lab investigation reveals Hb-8gm% and presence of macrocytic RBCs on peripheral blood smear. This patient may be suffering from deficiency of-
1. Vitamin C
2. Vitamin B1
3. Vitamin B2
4. Vitamin B9

Correct answer: 4. Vitamin B9

Explanation: The folic acid deﬁciency(vitamin B9) may be due to (one or more causes) inadequate dietary intake, defective  absorption, use of anti convulsant drugs (phenobarbitone, dilantin, phenytoin), and increased  demand. 
The rapidly dividing cells of bone marrow are seriously aﬀected. 
The macrocytic anemia  (abnormally large RBC) associated with megaloblastic changes in bone marrow is a characteristic  feature of folate deﬁciency.

Satyanarayana- Biochemistry, 3rd edition, pg-152